A tumor arising from olfactory nasal mucosa is -
1. Nasal Glioma
2. Adenoid cystic carcinoma
3. Nasopharyngeal carcinoma
4. Esthesioneuroblastoma

Correct answer: 4. Esthesioneuroblastoma